True regarding parotid gland
1. Mucinous gland
2. Covered by a thick fascia which is derived from deep cervical fascia
3. Facial nerve exits the gland anteromedially before dividing into 5 branches.
4. Receives secretomotor fibres from vagus nerve

Correct answer: 2. Covered by a thick fascia which is derived from deep cervical fascia

Explanation: Covered by a thick fascia which is derived from deep cervical fascia
Parotid gland

Bilateral structure, and the largest of the salivary glands
Covered by a thick fascia which is derived from deep cervical fascia
Wrapped around the mandibular ramus, and secretes saliva through Stensen duct (or parotid duct) into the oral cavity, to facilitate mastication and swallowing and to begin the digestion of starches

 
Relations